High risk pregnancy includes all except:
1. Twins
2. 25 year old primi
3. Hydramnios
4. Previous LSCS

Correct answer: 2. 25 year old primi

Explanation: High risk pregnancy is defined as one which is complicated by factor or factors that adversely affects the pregnancy outcome – maternal/perinatal or both.
The high risk cases are:
During pregnancy: